Major criteria for diagnosis of rheumatic fever?
1. Erythema migrans
2. Arthralgia
3. Fever
4. Subcutaneous Nodule

Correct answer: 4. Subcutaneous Nodule

Explanation: Ans. is 'd' i.e., Subcutaneous Nodule